The human plasma lipoprotein containing the highest percentage of triacylglycerol by weight is:
1. VLDL
2. Chylomicrons
3. HDL
4. LDL

Correct answer: 2. Chylomicrons

Explanation: Ans. B. Chylomicrons(Ref: Harper 31/e 237 Table 25-1)Lipoprotein with highest TAG content is chylomicronLipoprotein with highest cholesterol and cholesterol ester content is LDL